Late onset endophthalmitis after cataract surgery is caused by
1. Streptococcus pyogenes
2. Propionibacterium acne
3. Staphylococcus aureus
4. Pseudomonas

Correct answer: 2. Propionibacterium acne

Explanation: Bacterial endophthalmitis: This is one of the most dreaded complications with an incidence of 0.2 to 0.5 percent. The principal sources of infection are contaminated solutions, instruments, surgeon's hands, patient's own flora from conjunctiva, eyelids and air-borne bacteria. Symptoms and signs: Present between 48 and 72 hours after surgery and include: ocular pain, diminshed vision, lid oedema, conjunctival chemosis and marked circumciliary congestion, corneal oedema, exudates in pupillary area, hypopyon and diminished or absent red pupillary glow. Delayed chronic postoperative endophthalmitis : is caused when an organism of low virulence (Propionobacterium acne or staph epidermidis) becomes trapped within the capsular bag. It has an onset ranging from 4 weeks to years (mean 9 months) postoperatively. Ref:- A K KHURANA; pg num:-200,201